A 30 year old manic patient was prescribed haloperidol one week back. For last two days he has become restless and kept pacing in the room for a day. One examination he was found to have tremors of hand. he is most likely suffering from-
1. Anhedonia
2. Dystonia
3. Restless leg syndrome
4. Akathisia

Correct answer: 4. Akathisia

Explanation: Ans. is 'd' i.e., Akathisia Akathisia o Restlessness, feeling of discomfort, agitation (complete desire to move about), but without anxiety. o Between 1-8 weeks of therapy. o Treatment --> Propranolol is DOC (central anticholinergic is alternative).